A 67 year nude smoker presents with haemoptysis and cough. Bronchoscopic biopsy revealed un-differentiated tumour. The immunohistochemical marker that can be most helpful is-
1. Calretinin
2. Vimentin
3. Cytokeratin
4. GGt

Correct answer: 3. Cytokeratin

Explanation: TEXT BOOK OF PATHOLOGY HARSHMOHAN 6TH EDITION PG NO 16 Epithelial tumors are stained by pankeratin or cytokeratin (high or low MW)